Gastric lavage is contraindicated in which poisoning:
1. Kerosene
2. Alcohol
3. Organophosphate
4. Lead

Correct answer: 1. Kerosene

Explanation: Ans. (a) KeroseneRef: The Essentials ofFSM by K.S. Narayan Reddy 31st ed. / 551Contraindications of Gastric LavageAbsolute contraindicationsRelative contraindications* Alkali* Mineral acid* Vegetable acids* Organic acids except carbolic acid* Kerosene or volatile poisoning* Strychinine* Hypothermia* Bleeding disorder